10 babies are born in a hospital on same day. All weigh 2.8 kg each; calculate the standard deviation:
1. Zero
2. One
3. Minus one
4. 0.28

Correct answer: 1. Zero

Explanation: Standard deviation is used to measure deviation or dispersion.In the above question all the babies weigh 2.8 kg and there is no question of dispersion to be measured.Hence the most appropriate answer will be zero. Ref: Park's Textbook of Preventive and Social Medicine By K. Park, 19th Edition, Page 701.